Amoebic liver abscess ruptures most commonly into which cavity:
1. Peritoneal
2. Pleural
3. Pericardial
4. None of the above

Correct answer: 2. Pleural

Explanation: Ans. B: Pleural Pleuropulmonary infection is the most common complication. Mechanisms of infection include development of a sympathetic serous effusion; rupture of a liver abscess into the chest cavity, leading to empyema; or hematogenous spread, resulting in parenchymal infection. Cardiac involvement results following the rupture of an abscess involving the left lobe of the liver. It usually is associated with very high mortality. Intraperitoneal rupture occurs in 2-7% of patients. Left lobe abscesses are more likely to progress to rupture because of their later clinical presentation